A child with unilateral cleft lip ideal time of repair is -
1. 3-6 months
2. at birth
3. at 1 year
4. > 5 years

Correct answer: 1. 3-6 months

Explanation: Ans. is 'a' i.e., 3-6 months Timing of repair of cleft lip* According to CSDT# Follow the 'Rule of Ten' i.e. Surgery is done* After 10 wks of age* Weight >10 lb (4.5 kg)* Hemoglobin <10 g/dl* According to Schwartz - at 3 to 6 months of age* According to Sabiston - at 3 months of age* According to Bailey - between 3 & 6 months of age